Which cranial nerve is involved in Weber syndrome?
1. II
2. III
3. IV
4. V

Correct answer: 2. III

Explanation: Ans. is 'b' i.e., III Focal vascular syndromes of the midbrainSyndrome nameRegionVascular supplyAnatomical structure(s)Clinical feature (s)Weber's syndromeMidbrainBranches of PCA and top of basilar arteryOculomotor nerve fasciclesIpsilateral third-nerve palsyClaude's syndromeMidbrain tegmentum nerve palsyBranches of PCA and top of basilar arteryCerebral peduncleOculomotor nerve fasciclesContralateral hemiparesisIpsilateral third-nerve palsy Red nucleus, superior cerebellar peduncle fibersContralaterla ataxiaBenedikt's syndromeMidbrain basis and tegmentumBranches of PCA and top of basilar arteryOculomotor nerve fasciclesIpsilateral third-nerve palsy Cerebral peduncleRed nucleus, substantia nigra, superior cerebellar peduncle fibersContralateral hemiparesisContralateral ataxia, tremor, and involuntary movements